Tachyphylaxis is seen after use of:
1. Tamoxifen
2. Ephedrine
3. Morphine
4. Chlorpromazine

Correct answer: 2. Ephedrine